Humanized monoclonal antibody that binds IgE to prevent its binding to the high affinity IgE receptor and blocking IgE mediated allergic response and inflammation in Bronchial Asthma is:
1. Palivizumab
2. Natalizumab
3. Omalizumab
4. Etilizumab

Correct answer: 3. Omalizumab

Explanation: An anti-IgE preparation, Omalizumab, is approved by the FDA for use as an add-on therapy in children >=12 yr who have moderate to severe allergic asthma that is difficult to control.